Juxtaglomerular apparatus contains all except
1. Lacis cells
2. Macula densa
3. JG cells
4. Glomerular mesangial cells

Correct answer: 4. Glomerular mesangial cells

Explanation: The renin in kidney extracts and the bloodstream is produced by the juxtaglomerular cells (JG cells). These epitheloid cells are located in the media of the afferent arterioles as they enter the glomeruli. The membrane-lined secretory granules in them have been shown to contain renin. Renin is also found in agranular lacis cells that are located in the junction between the afferent and efferent arterioles, but its significance in this location is unknown. At the point where the afferent arteriole enters the glomerulus and the efferent arteriole leaves it, the tubule of the nephron touches the arterioles of the glomerulus from which it arose. At this location, which marks the start of the distal convolution, there is a modified region of tubular epithelium called the macula densa ). The macula densa is in close proximity to the JG cells. The lacis cells, the JG cells, and the macula densa constitute the juxtaglomerular apparatus. Ganong's review of medical physiology,23rd edition,pg-673